Most commonly used cordiotoxic anticancer drug-
1. Doxorubicin
2. Vincristine
3. L-Asparginase
4. Paclitaxol

Correct answer: 1. Doxorubicin

Explanation: Ans. is 'a' i.e., Doxorubicin o Cardiotoxicity is characteristically seen with Antracyclines (Doxorubicin & Daunorubicin).